Posterior wall of Rectus sheath below Arcrate line is formed by
1. Posterior lamina of Internal oblique aponeurosis and Transverse abdominis aponeurosis
2. Fascial transversalis
3. Transverse abdominis aponeurosis and Fascia transversalis
4. Internal oblique Aponeurosis

Correct answer: 2. Fascial transversalis